Opportunistic lung infection in AIDS is due to-
1. Pneumocystis carini
2. Klebsiella
3. Mucormycosis
4. Mycoplasma

Correct answer: 1. Pneumocystis carini